Hampton hump seen in the chest X-ray is a feature of:
1. Pulmonary tuberculosis
2. Pulmonary embolism
3. Pulmonary hemorrhage
4. Bronchogenic carcinoma

Correct answer: 2. Pulmonary embolism

Explanation: Ans. B. Pulmonary embolismHampton's hump, also called Hampton hump, is a radiologic sign which consists of a shallow wedge-shaped opacity in the periphery of the lung with its base against the pleural surface. Hampton's hump may aid in the diagnosis of pulmonary embolism, although the sensitivities and inter operator reliabilities are low. If the sign is present in an image, there is a high chance that the person has a pulmonary embolism, but when the sign is absent a pulmonary embolism is not ruled out.